A 67-year-old man visits the outpatient clinic with complaints of deteriorating vision. A form of glaucoma is diagnosed in which the aqueous humor does not drain properly into the scleral venous sinus at the iridoscleral angle of the eyeball. The aqueous fluid is secreted by the epithelium of the ciliary body directly into which of the following spaces?
1. Iridoscleral angle
2. Posterior chamber
3. Pupil
4. Vitreous body

Correct answer: 2. Posterior chamber

Explanation: Aqueous humor is secreted by the ciliary body into the posterior chamber of the eye. The humor flows through the pupil into the anterior chamber and then is filtered by a trabecular meshwork, then drained by the canal of Schlemm. The pupil is the opening in the iris, which leads from the posterior chamber to the anterior chamber. Vitreous humor, not aqueous humor, is found in the vitreous body. The lacrimal sac is involved with tears, not the secretion of aqueous humor.